Ashermann syndrome is secondary to -
1. Tuberculosis
2. Endometrial carcinoma
3. Endometriosis
4. Submucosal fibroid

Correct answer: 1. Tuberculosis

Explanation: Ans. is 'a' i.e., Tuberculosis o Ashermann syndrome is secondary io endometrial tuberculosis when patient develops adhesions and secondary amenorrhoea.